True about the anatomy of inguinal hernia is
1. Superficial Inguinal ring is an opening in external oblique aponeurosis
2. Indirect hernia lies just medial to inferior epigastric artery
3. Posterior wall is formed by conjoined tendon
4. Cremasteric artery is a branch of internal iliac artery

Correct answer: 1. Superficial Inguinal ring is an opening in external oblique aponeurosis

Explanation: Superficial Inguinal ring is an opening in external oblique aponeurosis Indirect hernia lies lateral to inferior epigastric artery Posterior wall is formed by transversalis fascia Cremasteric artery is a branch of inferior epigastric artery, which is a branch of external illiac artery